Biopsy of which of the following is usually taken for the diagnosis of systemic amyloidosis-
1. Stomach
2. Duodenum
3. IIeum
4. Rectum

Correct answer: 4. Rectum

Explanation: Harshmohan textbook of pathology 7th edition. In systemic amyloidosis renal biopsy provides the best detection rate but rectal biopsy also has a good pickup rate. However gigiva and skin biopsy have poor result..